Arm muscle not supplied by musculocutaneous nerve -
1. Biceps
2. Triceps
3. Brachialis
4. Coracobrachialis

Correct answer: 2. Triceps

Explanation: Musculocutaneous nerve supplies Biceps brachii, brachialis, corachobrachialis. Triceps is supplied by radial nerve.